Last discovered taste sensation -
1. Sweet
2. Sour
3. Bitter
4. Umami

Correct answer: 4. Umami

Explanation: Ans. is 'd' i.e., Umami o Umami taste sensation is the most recent one, discovered in early 1900s.Taste sensationso There are four basic tastes namely Sweet, bitter, Salty and Sour. There mechanisms of sensory transduction are:o There are different mechanisms of sensory transduction.1) Sweet receptor is a Gprotein coupled receptor and leads to an increase in cAMP concentration in the sensory cells which results in closure of K+ channels and depolarization.2) Bitter receptors are also G protein coupled receptors and causes rise in intracellular Ca+2 by IP3-DAG system. Rise in intracellular Ca+2 triggers neurotransmitter release.3) Salty-tasti ttg substances depolarize taste cells by activating amiloride-sensitive Na+ channels.4) Sour-tasting substances depolarize taste cells by raising the intracellular H+ ion concentration, which causes closure of K+ channels.o The umami taste is the fifth taste which is unique. The proposed mechanism of umami taste is through glutamate taste sensors (glutamate receptors) with release of neuronal glutamic acid.